Gram Stain is a:
1. Simple stain
2. Differential stain
3. Negative stain
4. None

Correct answer: 2. Differential stain

Explanation: Ans. (b) Differential stainRef.: Microbiology by Ananth and Paniker 8th ed./15DIFFERENTIAL STAIN* These are positive stain, which divide bacterial population into two different groups by imparting two different colors# Gram Stain: it is the most common staining method of bacteriology. It stains cell wall of bacteria. Gram positive appears blue Gram Negative appears pink/red# Z-N stain is used to distinguish acid fast bacteria and non-acid fast bacteria. Presence of mycolic acid is responsible for the acid-fast nature of bacteria.